Graham Cole test refers to
1. Oral cholecystography
2. Intravenous cholangiography
3. Pre operative cholangiography
4. Post operative cholangiography

Correct answer: 1. Oral cholecystography

Explanation: Oral cholecystography (Graham Cole Test) Once considered the diagnostic test of choice for gallstones, oral cholecystography has been replaced by ultrasonography It involves oral administration of a Radiopaque compound that is absorbed, excreted by the liver, and passed into the gallbladder Successful visualisation of GB in oral cholecystography depends on Blood flow to liver Ability of the liver cells to excrete dye into the bile (functioning liver) Patency of hepatic and cystic duct system Ability of GB to concentrate to excreted dye (by absorbing water) Ref: schwaz's principle of surgery 10th edition Pgno : 1141